Ratio of diameter of enamel rods in the DEJ to the
enamel surface is
1. 1:04
2. 1:01
3. 1:02
4. 2:01

Correct answer: 3. 1:02